A herd immunity of over -% is considered necessary to prevent epidemic spread of diphtheria-
1. 50%
2. 55%
3. 60%
4. 70%

Correct answer: 4. 70%

Explanation: A herd immunity of over 70% is considered necessary to prevent epidemic spread of diphtheria. Park's textbook of preventive and social medicine,K.Park,22nd edition,page no:151